DALY is
1. Disease - Adjusted Life year
2. Disability Adjusted Life year
3. Disease Associated Life year
4. Disability Associated Life year

Correct answer: 2. Disability Adjusted Life year

Explanation: (Disability Adjusted Life Year) (24-Park 19th) (26-Park 20th)DALY - (Disability Adjusted Life Year) - is a measure of the burden of disease in a defined population and the effectiveness of the interventions.* DALYs express years of life lost to premature death and years lived with disability adjusted for the severity of the disability. One DALY is "one lost year of healthy life"* DALYs are advocated as an alternative to QALY and claimed to be a valid indicator of health* HALE (health-Adjusted Life Expectancy)* DALE (Disability Adjusted Life Expectancy)